The sharpest cusp of primary first mandibular molar tooth is:
1. Mesiobuccal
2. Distobuccal
3. Mesiolingual
4. Distolingual

Correct answer: 3. Mesiolingual